T.B. testis first affects
1. Vas
2. Epididymis
3. Body of testis
4. Tunica vaginalis

Correct answer: 2. Epididymis

Explanation: The disease first affects the epididymis. The body of testis may remain uninvolved for years, but the contra lateral epididymis often becomes diseased. Treatment is - ATT if ds. does not resolve, epididymectomy or orchidectomy is indicated. Ref : Bailey & Love 25/e p1383